Consultation-liaison (CL) psychiatry involves diagnosing:
1. Psychiatric illness in medically ill
2. Medical illness in psychiatric patients
3. Suicidal tendency in psychiatric patients
4. Suicidal tendency in medically ill

Correct answer: 1. Psychiatric illness in medically ill

Explanation: Consultation liaison psychiatry is the speciality of psychiatry which deals with the psychiatric illness in medically ill patients.